Which of the following is most esthetic pontic
1. Modified Ridge lap
2. Saddle
3. Ovate
4. Sanitary

Correct answer: 3. Ovate